Most common site for osteoma is:
1. Maxillary sinus
2. Ethmoid sinus
3. Frontal sinus
4. Sphenoid sinus

Correct answer: 3. Frontal sinus

Explanation: Craniofacial osteomas are benign tumors often originating in the paranasal sinuses The frontal sinus is the most frequent location followed by the ethmoid, maxillary and sphenoid sinus, respectively Age of presentation = second to fifth decade with a male-femate ratio - 3:1. Presentation: Generally they are an incidental finding on radiography It may produce symptoms like ? Visual impairment Intracranial neurological complications like meningitis or pneumocephalus with seizure. Management Removal by endoscopic sinus surgery.